Garlic odor is seen in all poisoning except -
1. Arsenic
2. Phosphorus
3. Thallium
4. Salicylate

Correct answer: 4. Salicylate

Explanation: Ref: K.S.Narayan Reddy's Synopsis of Forensic Medicine and Toxicology, 29th edition,Chapter 36.